Crista terminalis is present in ?
1. Left atrium
2. Left ventricle
3. Right atrium
4. Right ventricle

Correct answer: 3. Right atrium

Explanation: Crista terminalis (divides the right atrium into anterior and posterior part) is a ridge of smooth muscle fibers extending from the SVC to valve of IVC. It is developed from embryonic right venous valve and is represented on the surface by sulcus terminalis.